Raynaud's syndrome occurs in all of the following except:
1. SLE
2. Rheumatoid arthritis
3. Osteoarthritis
4. Cryoglobulinemia.

Correct answer: 3. Osteoarthritis

Explanation: Ans. C: Osteoarthritis Although Raynaud phenomenon has been described with various autoimmune diseases, the most common association is with progressive systemic sclerosis (90% in individuals with scleroderma) and mixed connective-tissue disease (85% prevalence). Raynaud phenomenon has also been described with such diverse diseases as systemic lupus erythematosus (SLE), rheumatoid arthritis and other disorders not classified as autoimmune, including frostbite, vibration injury, polyvinyl chloride exposure, and cryoglobulinemia.